Left cardiac border bulge can be sen in all, except
1. Enlarged azygous vein
2. Left appendicular overgrowth
3. Coronary artery aneurysm
4. Pericardial defect

Correct answer: 1. Enlarged azygous vein

Explanation: A i.e. Enlarged Azygous Vein Azygous vein is a right sided structureQ and all others are left sided. Azygous vein lies in the angle between the right main bronchus & trachea and size is < 10mm diameter on erect X-ray. Its size decreases on valsalva, in spiration; and increases in supine position, pregnancy, portal hypertension, IVC & SVC obstruction, right heart failure, constrictive pericarditis and enlarged subcranial nodes. So Azygous vein can't give rise to left cardiac bulge.